In which of the following conditions, Aniridia and Hemihypertrophy are most likely present?
1. Neuroblastoma
2. Wilms' tumour
3. Non-Hodgkin's lymphoma
4. Germ cell tumour

Correct answer: 2. Wilms' tumour

Explanation: . Wilms' tumour